Facial recess or the posterior sinus is bounded by:
1. Medially by the vertical part of VII nerve
2. Laterally by the chorda tympani
3. Above by the fossa includis
4. All of the above

Correct answer: 4. All of the above

Explanation: Facial recess or Posterior sinus - It is a depression in the posterior wall of the middle ear. It is bounded by: Medially - Vertical part of VIII nerve Laterally - Chorda tympani Above - Fossa incudis